Carpal fusion is seen in?
1. Apert's syndrome
2. Rheumatoid arthritis
3. Post-traumatic cases
4. All of the above

Correct answer: 4. All of the above

Explanation: Ans DThe most commonly involved bones are the lunate and triquetrum. Multiple carpal coalitions are often associated with other anomalies including Apert syndrome, Ellis-van Creveld syndrome, Holt-Oram syndrome, Turner's syndrome. Acquired intercarpal fusion can either be a consequence of an inflammatory arthropathy (e.g. rheumatoid arthritis, psoriatic arthritis, reactive arthritis) or injury, or due to surgical arthrodesis.